Which of the following is known as the "guardian of the genome" -
1. p53
2. Mdm2
3. p14
4. ATM

Correct answer: 1. p53

Explanation: p53; Guardian of genome

p53 is a tumor suppressor gene.
p53 gene is located on chromosome 17.
p53 acts as molecular policeman that prevents the propagation of genetically damage cell.
p53 gene product, i.e. p53 protein is a DNA binding protein in the nucleus, when called into action, it controls the transcription of several other genes.
The ma 'or functional activities of the 53 rotein are cell c cle arrest and initiation of a o v.tosis in res onse to DNA damage.
When there is DNA damage due to irradiation, UV light or mutagenic chemicals, there is rapid increase in p53 levels.
p53 causes -

Cell cycle arrest


p-53 induces transcription of p21, a CDK inhibitor.
p21 inhibit cyclin D-CDK-4 complex and there is arrest of cell cycle late in G1 phase.
This allows time for DNA repair.

DNA repair

p-53 also helps in DNA repair directly by inducing transcription of GADD 45 (growth arrest and DNA damage).
GADD 45 encodes a protein that is involved in DNA repair.
If DNA damage is repaired successfully, p53 activate MDM-3 and this MDM-3 induce degradation of p-53 → Relieve in cell cycle block.
If DNA damage cannot be successfully repaired, p53 induces apoptosis by inducing the activation of apoptosis-inducing gene BAX.
So p53 prevents replication of cell with defective DNA → p53 functions as a critical gatekeeper against the formation of cancer.
Mutation in p53 leads to carcinogenesis because of loss of the above protective mechanism.
p-53 is the most common target for genetic alteration in human tumors: A little over 50% of human tumors contain mutation in this gene. 
(Note - Amongst oncogene RAS is involved most commonly).